With which of the following of viral hepatitis infection in pegnancy, the maternal mortality is highest ?
1. Hepatitis A
2. Hepatitis B
3. Hepatitis C
4. Hepatitis E

Correct answer: 4. Hepatitis E

Explanation: Ans. is 'd' i.e., Hepatitis E A unique feature of Hepatitis E is the clinical severity and high case fatality rate (20-40%) when it affects pregnant women, especially in last trimester.